Myelin sheath in CNS is produced by
1. Oligodendrocyte
2. Schwann cell
3. Microglia
4. Macroglia

Correct answer: 1. Oligodendrocyte

Explanation: Oligodendrocytes and Schwann cells are involved in myelin formation around axons in the CNS and peripheral nervous system respectively. Ref: Ganong's review of medical physiology; 23rd edition; pg: 80.